GNAS mutation is associated with malignancy of
1. Lactotrophs
2. Somatotrophs
3. Thyrotrophs
4. Corticotrophs

Correct answer: 2. Somatotrophs

Explanation: GNAS encodes for alpha subunit of stimulatory G-protein , Gsalpha . Oncogenic activation of GNAS constitutively activates Gsalpha leading to Growth hormone(GH) adenomas. Ref: Robbins and cotrans 9e Pg 1076